Structure which does NOT pass under flexor retinaculum -
1. Ulnar nerve
2. Median nerve
3. Flexor digitorum superficialis
4. Flexor digitorum profundus

Correct answer: 1. Ulnar nerve

Explanation: Structures superficial to flexor retinaculum

        Palmaris longus
        Ulnar vessels and nerve
        Palmar cutaneous branches of median and ulnar nerves.

 Structures deep to flexor retinaculum

      Median nerve
       Flexor digitorum superficialis
       Flexor digitorum profundus
       Flexor pollicis longus
       Flexor carpi radialis